Misoprostol has been found to be effective in all of the following except:
1. Missed abortion.
2. Induction of labour.
3. Menorrhagia.
4. Prevention of post-partum hemorrhage (PPH).

Correct answer: 3. Menorrhagia.

Explanation: Misoprostal : Is used for induction of abortion in the early pregnancy for medically induced abortions in doses ranging from 400 to 800 mcgs, then also in the second trimester where abortion with prostaglandins is the mode of choice in doses from 200 to 400 mcgs. Also, misoprostol is an efficient way to induce labour even with doses ranging from 25 to 50 mcgs. In cases of PPH, misoprostol given orally or rectally is an excellent mode of reducing bleeding might as well be used as the most effective drug for PPH. Misoprostol will act when there are prostaglandin receptors and these are more in number when there is a pregnancy in the uterus. In menorrhagia this is not an effective drug and the vasodilator action may in fact worsen the bleeding.